Impedance audiometry is for pathology of
1. External ear
2. Middle ear
3. Mastoid air cell
4. Inner ear

Correct answer: 2. Middle ear

Explanation: It is done for the pathology of the middle ear. It is a test for conductive deafness. It is an objective test, widely used in clinical practice and is particularly useful in children. It consists of: Tympanometry Acoustic reflex measurements. Ref: Dhingra; 6th Edition; pg no 24